High sensitive
1. Low false positive
2. Low false negative
3. Low true negative
4. Low true positive

Correct answer: 2. Low false negative

Explanation: Ref: Parks 23rd edition pg 139. Sensitivity = (True positive) / (True positive + false negative) High sensitivity means high true positive. So, false negative results will be low.